Which of the agent does not belong to category A bioterrorism?
1. Anthrax
2. Botulism
3. Brucellosis
4. Plague

Correct answer: 3. Brucellosis

Explanation: Brucellosis - category  - B bioterrorism